In Aspirin mechanism of action
1. Lipooxygenase decreased
2. Cyclooxygenase decreased
3. Phospholipase
4. Increased Lipoxygenase

Correct answer: 2. Cyclooxygenase decreased

Explanation: (B) Cyclooxygenase decreased # Aspirin acts by inhibiting cyclooxygenase enzyme, thereby inhibiting prostaglandin synthesis.> Leukotriens acts by inhibiting Lipooxygenase> Steroids acts by inhibiting phospholipase